False statement regarding hemodynamic changes occurring during exercise is which of the following-
1. Venous return is augmented by the pumping action of skeletal muscles
2. The increased adrenergic nerve impulses to the heart as well as an increased concentration of circulating catecholamines help to augment the contractile state of the myocardium
3. Venoconstriction in exercising muscles as well as increased cardiac output leads to marked increase in systemic blood pressure
4. End-diastolic volume increases in the failing heart during exercise

Correct answer: 3. Venoconstriction in exercising muscles as well as increased cardiac output leads to marked increase in systemic blood pressure